An ICU patient on atracurium infusion develops seizures after 2 days. The most probable cause is –
1. Accumulation of landonosine
2. Allergy to drug
3. Due to prolong infusion
4. All of the above

Correct answer: 1. Accumulation of landonosine

Explanation: Hofmann degradation of atracurium produces tertiary metabolite laudanosine which can cross blood brain barrier and produces convulsions.